Swelling in testes, investigation of choice-
1. FNAC
2. CECT
3. USG
4. MRI

Correct answer: 3. USG

Explanation: Ans. is 'c' i.e., USG o U/S scrotum is done for any suspected testicular tumory If a testicular mass found on U/S then high inguinal orchiectomy done to remove the primary as well as know about the histology- of the tumor.After orchiectomy further inv. done for staging are : -CT abdomen & pelvisChest x-rayChest CTSerum assay of Tumor markers---For retroperitoneal l.n.For mediastinal and pulmonary metastasis.If mediastinal or pulmonary metastasis is suspected.# Tumor markers - AFP, HCG, LDHo AFP (Alpha feto protein)o HCG and LDH--Seen only in Non seminomaSeen in both seminomas & non-seminomaso About testicular malignancyMost common testicular tumor above 50 yrs of age is - LymphomaNon-seminomas are more malignant than seminomasTreatment of testicular cancer is directed by the tumor histology as described in the previous question but when the tumor contains both seminoma and non-seminoma components pts. management is directed by the more aggressive non-seminoma component.Chromosomal marker for GCT - isochromosome of short arm of chromosome 12.